Morphine causes all, Except
1. Peripheral vasodilatation
2. Decrease intracranial tension
3. Nausea and vomiting
4. Decrease in gastrointestinal secretion

Correct answer: 2. Decrease intracranial tension

Explanation: Morphine is contraindicated in patients with head injury because 1. It causes increased intracranial tension. 2. Causes marked respiratory depression. 3. Causes vomiting, miosis and altered mentation that interfere with assessment of progress in head injury patients. Ref: KD Tripathi 8th ed.